Carbamoyl phosphate synthase I is used in ?
1. Purine synthesis
2. Pyrimidine synthesis
3. Urea cycle
4. Uronic acid pathway

Correct answer: 3. Urea cycle

Explanation: Ans. is 'c' i.e., Urea cycleCarbamyl phosphate synthase I Urea cycleCarbamyl phosphate synthase II- Pyrimidine synthesis